Which among the following is the most common fungal infection seen in immunocompetent patients:
1. Aspergillus
2. Cryptococcus
3. Candida
4. Penicillium marneffei

Correct answer: 3. Candida

Explanation: Ans. (c) Candida PR Arora 2/e, p 671. Clinical Mycology FlirN J Anaessie 2/e, p 2, 11. 6,37 Candidiasis is the commonest mycosis involving skin, its appendeges, mucosa and internal organs. Oral thrush and vulvovaginal candidiasis are commonest manifestation of candida in immunocompetent. Other important points: Aspergillus is the most common fungal sinus infection in immunocompetent patients ...Clinical Mycology by Elias J Anaessie 2/e, p 631 Candida is the most common cause of nosocomial fungal infection ...Clinical Mycology by Elias J Anaessie 2/e, P No. 2 Cryptococcus neoformans is the most common cause of community associated oppuinistic fungal infection Clinical Mycology by Elias J Anaessie 2/e, P No. 11 Cryptococcus neoformans is the most life threatening fungal pathogen.